Not the signs of accidental injury in a child:
1. Subdural hematoma
2. Abrasion on the knees
3. Swelling in the occiput
4. Bleeding from the nose

Correct answer: 1. Subdural hematoma

Explanation: Ans. Subdural hematoma